A 4 1/2- year-old girl always had to wear warm socks even is summer season. On physical examination, it was noticed that she had high blood pressure and her femoral pulse was weak as compared to radial and carotid pulse. A chest radiograph showed remarkable notching of ribs along with their lower borders. This was due to:
1. Femoral artery thrombosis.
2. Coarctation of aorta.
3. Raynaud's disease.
4. Takayasu's arteritis.

Correct answer: 2. Coarctation of aorta.

Explanation: Answer is B (Coarctation of aorta) Hypertension in the upper extremities and absence, marked diminution or delayed pulsations in the femoral arteries are on physical examination are characteristic in coarctation of aorta - Harrison 16th/ 1387 Associated notching of ribs along the lower border leaves no doubt as regards the correct diagnosis.